Which does NOT handle free radicals inside the lens
1. Vitamin A
2. Vitamin C
3. Vitamin E
4. Catalase

Correct answer: 1. Vitamin A

Explanation: Preventive antioxidant mechanisms of the lens against free radicals are:

Enzymatic defence mechanism - reduced glutathione, glutathione peroxide, superoxide dismutase and catalase
Non-enzymatic defence mechanism - vitamin C, vitamin E and carotenoids